Cullen's sign is seen in:
1. Acute cholecystitis
2. Acute hepatitis
3. Acute pancreatitis
4. Blunt injury abdomen

Correct answer: 3. Acute pancreatitis

Explanation: Ans. C i.e. Acute pancreatitis